RS cells are seen in
1. Hodgkin’s disease
2. Sickle cell anaemia
3. Thalasemia
4. CML

Correct answer: 1. Hodgkin’s disease

Explanation: • Hodgkin’s disease is characterized by presence of Reed-sternberg cells (Classical Reed-sternberg cells) and its variants.
RS cells are derived from B-cells of germinal center and induce accumulation of reactive, lymphocytes, histiocytes (macrophages) and granulocytes.